Cholinomimetic is contraindicated in:
1. Glaucoma
2. Myasthenia gravis
3. Postoperative ileus
4. Partial heart block

Correct answer: 4. Partial heart block

Explanation: Ans. D. Partial heart blocka. Cholinergic system has Inhibitory effect on heart mediated by M2 receptors.b. Cholinomimetics can convert a partial heart block into a complete heart block due to negative chronotropic,c. Dromotropic properties.